Histology of a specimen shows Mikulicz cells and Russell bodies. These are characteristic of:
1. Rhinoscleroma
2. Rhinosporidiosis
3. Scleroderma
4. Lupus vulgaris

Correct answer: 1. Rhinoscleroma

Explanation: The classic biopsy findings compatible with rhinoscleroma include Mikulicz cells, macrophages containing large amounts of bacteria-filled vacuoles, and Russell bodies, spherical structures found in the cytoplasm of plasma cells. Mikulicz cells are large mononuclear histiocytes with vacuolated cytoplasm containing causative bacilli and Russell bodies are homogenous eosinophilic inclusion bodies found in the plasma cells.